Maximum concentration of cortisol is seen at which time of day?
1. Early morning
2. Noon
3. Late evening
4. Midnight

Correct answer: 1. Early morning

Explanation: Cortisol is the principal glucocorticoid produced by the zona fasciculata of the adrenal cortex. It promotes gluconeogenesis and lipolysis, suppresses protein synthesis, inhibits inflammatory and immune responses, and has mild mineralocorticoid(for example, hypernatremic, kaliuretic, antidiuretic) effects. Most plasma cortisol is bound to transcortin and albumin. Synthetic cortisol administered as a drug is usually known by the alternative name hydrocortisone.Ref: Ganong's review of medical physiology;24th edition; page no-362